The absolute indications for dialysis include the following except-
1. Persistent or severe hyperkalaemia
2. Congestive cardiac failure
3. Hyperphosphataemia
4. Severe acidosis

Correct answer: 3. Hyperphosphataemia